Chronic carrier of typhoid shed bacilli for ?
1. 1-3 weeks after cure
2. 3 weeks to 3 months after cure
3. 3 months - 1 year after cure
4. More than 1 year after cure

Correct answer: 4. More than 1 year after cure

Explanation: Ans. is 'd' i.e., More than 1 year after cure Carriers Bacilli presist in the gall bladder or kidney and are eliminated in the feces (fecal carriers) or urine (urinary carrier), respectively. The development of the carrier state is more common in women and in older age groups ( over 40 yrs) Carriers are the more frequent source of infection than cases. Urinary carriage is less frequent but more dangerous than intestinal carrier - Park PSM Urinary carrier is generally associated with some urinary lesions such as calculi or schistosomiasis. Presence of Vi antibody indicates the carrier state.